A 12 years child presents with B/L nasal pink masses. Most important investigation prior to undertaking surgery is -
1. Ultrasound
2. FNAC
3. Biopsy
4. Contrast C.T. Scan

Correct answer: 4. Contrast C.T. Scan

Explanation: CT scan of head with contrast enhancement is the investigation of choice for JNA.